All are recognised tumour markers except ?
1. Beta HCG
2. Beta 2 microglobulin
3. Alpha fetoprotein
4. None

Correct answer: 4. None

Explanation: Answer is None Tumor Markers Cancer Non-Neoplastic Conditons HORMONES Human chorionic gonadotropin Gestational trophoblastic disease, gonadal germ cell tumor Pregnancy Calcitonin Medullary cancer of the thyroid Catecholamines Pheochromocytoma ONCOFETAL ANTIGENS Alphafetoprotein Heptaocellular carcinoma, gonadal germ cell tumor Cirrhosis, hepatitis Carcinoembryonic antigen Adenocarcinomas of the colon, pancreas, lung, breast, ovary Pancreatitis, hepatitis, inflammatory bowel disease, smoking ENZYMES Prostatc acid phosphatase Prostate cancer Prostatitis, prostatic hypertrophy Neuron -specific enolase Small cell cancer of the lung, Neuroblastoma Lactate dehydrogenase Lymphoma, Ewing's sarcoma Hepatitis, hemolytic anemia many others TUMOR-ASSOCIATED PROTEINS Prostate -specific antigen Prostate Cancer Prostatitis, Prostatic hypertrophy Monoclonal Myeloma Infection, MGUS Immunoglobulin (132 microglobulin) CA-125 Ovarian cancer, some lymphomas Menstruation, peritonitis, pregnancy CA 19-9 Colon, pancreatic, breast cancer Pancreatitis, ulcerative colitis CD30 Hodgkin's disease, anaplastic large cell lymphoma CD25 Hairy cell leukemia, adult T cell leukemia/lymphoma